The predominant type of whey protein in cow milk is:
1. Lactoglobulin
2. Lactalbumin
3. Lactoferrin
4. None of the above

Correct answer: 1. Lactoglobulin

Explanation: Whey protein is four times more in human milk compared to cow's milk. In human milk, it is predominantly lactalbumin and lactoferrin while it is mainly lactoglobulin in cow milk which is negligible in human milk. Ref: Nutrition and Child Development, K.E. Elizabeth, 4th edition pg: 17